All of the following are the direct obstetric causes of maternal death except
1. Abortion
2. Hemorrhage
3. Anaemia
4. Toxemia

Correct answer: 3. Anaemia

Explanation: Direct Obstretic causes of Maternal Death:
• Abortion              • Hamorrhage                     • Toxemia